Rhinoscleroma is due to which infection?
1. Viral
2. Bacterial
3. Fungal
4. None

Correct answer: 2. Bacterial

Explanation: Rhinoscleroma is a chronic granulomatous disease caused by a gram-negative bacillus called Klebsiella rhinoscleromatis or Frisch bacillus. In India, it is more often in the northern parts than in the southern parts. (Ref: PL DHINGRA diseases of ear, nose and throat, 7th edition page no 175)